Oxygen cylinder color:
1. Black body white shoulder
2. White body black shoulder
3. Brown body and shoulder
4. Blue body and shoulder

Correct answer: 1. Black body white shoulder

Explanation: Ans: (a) Black body white shoulderRef: Miller's Anaesthesia 7th ed. / 675GasColor CodePin index positionBodyShoulderOxygenBlackWhite2,5Nitrous oxideBlueBlue3, 5CO2GrayGray1,6HeliumBrownBrown2,5AirGreyWhite/black quartered1,5